Chemically, oestrogens are characterised by
1. Absence of O2 at D-17
2. Aromatic character at D-ring
3. Absence to methyl group at C-10
4. A 21-carbon steroid skeleton

Correct answer: 3. Absence to methyl group at C-10

Explanation: One hydroxyl group attached to the D ring